All are latest treatment modalities for acetaminophen overdosage, EXCEPT:
1. Gastric lavage
2. Oral activated charcol
3. Cysteamine
4. High dose vitamin E

Correct answer: 4. High dose vitamin E

Explanation: Acetaminophen causes severe centrilobular hepatic necrosis. It can causes fatal disease if the ingestion exceeds > 25g. If blood level; > 300 microgram after 4 hours of ingestion indicates and predicts severe liver damage. Treatment options Gastric lavage Supportive measures Activated charcoal Cholestyramine Cysteamine, cysteine and N acetyl cysteine reduce severity of hepatic necrosis (Sulhydil group) Therapy should be begin within 8 hours If serum lactate level is more than 3.5 millimoles per litre high risk of mortality Vitamin E in high dose is used in the treatment of NASH. Ref: Harrison, Edition-18, Page-2563